The psychiatric disorder most likely to be associated with epilepsy is:
1. Psychosis
2. Depression
3. Insomnia
4. Mania

Correct answer: 2. Depression

Explanation: Depression is the most common psychiatric disorders associated with epilepsy